The length of the eyeball is
1. 12mm
2. 16mm
3. 24mm
4. 30mm

Correct answer: 3. 24mm

Explanation: Eyeball - Not a perfect sphere but an Ablate spheroid Dimensions of an adult eyeball Anteroposterior diameter - 24 mm Horizontal diameter - 23.5 mm Vertical diameter - 23 mm Circumference - 75 mm Volume - 6.5 ml Reference : Khurana Ophthalmology; 4th edition Page 3